For RNA, which blotting technique is used
1. Western blot
2. Northern blot
3. Southern blot
4. None

Correct answer: 2. Northern blot

Explanation: Northern Blotting for identifying RNA : The Northern blot is used to demonstrate specific RNA. The total RNA is isolated from the cell, electrophoresed and then blotted on to a membrane. This is then probed with radioactive cDNA .There will be RNA - DNA hybridization. This is used to detect the gene expression in a tissue. Ref :DM.VASUDEVAN.TEXTBOOK ; SEVENTH EDITION ; PAGE NO : 634.